Homocystein is not associated with
1. Coronary artery disease
2. Fracture
3. Hearing loss
4. Neuropsychiatric manifestations

Correct answer: 3. Hearing loss

Explanation: Ans. is 'c' i.e., Hearing lossElevated level of homocysteine (hyperhomocysteinemia) is associated with -i) Thrombosis, coronary artery disease & stroke.ii) Osteoporosis & fracture.iii) Neuropsychiatric manifestations.iv) Developmental delay.v) Visual disturbances.vi) Microalbuminuria.